At what stage the alpha rhythm seen in an EEG?
1. Awake Agitated, eyes open and mind wandering
2. Awake, at rest, mind wandering and eyes closed
3. Aroused with attention focused on something
4. REM sleep

Correct answer: 2. Awake, at rest, mind wandering and eyes closed

Explanation: Alpha waves